Microfilaments are made up of:
1. Actin
2. Tubulin
3. Keratin
4. None of the above

Correct answer: 1. Actin

Explanation: Microfilaments are long solid fibers with a 4 to 6 nm diameter that are made up of actin. Although actin is most often associated with muscle contraction, it is present in all types of cells. It is the most abundant protein in mammalian cells, sometimes accounting for as much as 15% of the total protein in the cell. Ref: Ganong's Review of Medical Physiology 23rd edition, Chapter 2.